Administration of disulfiram in an alcoholic can cause all these side effects except:
1. Flushing
2. Headache
3. Hypertension
4. Nausea

Correct answer: 3. Hypertension

Explanation: Ref: The Pharmacological Basis of Therapeutics by Goodman and Gillman, 12th edition. Page 644 and KD Tripathis Essentials of Pharmacology, 6th edition. Page 3H6Explanation:DISULFIRAMDisulfiram irreversibly inhibits aldehyde dehydrogenase. This action is also brought about by its metabolites such as dieth y 1th iomethyl car ba mate.Patients taking disulfiram must avoid alcohol including disguised forms such as fermented sugar, cough syrups, after shave lotions.The daily dose of disulfiram is best taken in the morning since the urge to abstain from alcohol is maximum at that moment.Disulfiram can cause acneiform eruptions, restlessness, headache.Adverse Effects in Alcoholicso Flushing.o Burning sensationo Throbbing headacheo Perspirationo Uneasinesso Tightness in chesto Dizzinesso Vomitingo Visual disturbanceso Mental confusiono Postural faintingo Circulatory collapse.Drugs Causing 'Disulfiram like reaction' in AlcoholicsCefoperazone.Moxalactam.Cefamandole.Metronidazole.Satranidazole.Procarbazine.Chlorpropamide.